Exogenous adrenaline is metabolized by:
1. AChE
2. COMT
3. Decarboxylase
4. Acetyl transferase

Correct answer: 2. COMT

Explanation: Endogenous adrenaline action is terminated mainly by reuptake whereas exogenous agent is metabolized by COMT and MAO.